Most important blood supply to stomach:
1. Left gastric artery
2. Short gastric artery
3. Right gastro epiploic artery
4. Left gastro epiploic artery

Correct answer: 1. Left gastric artery

Explanation: Ans. a. Left gastric artery (Ref : BDC 4/e, Vol-II/282; Snells 7/e p260; Moor's 4/e p235; Surgery: Basic Science and Clinical Evidence. by Jeffrey A. Mortan/489)Most important blood supply to stomach is left gastric artery.'The left gastric artery is the branch of celiac axis and is the largest artery supplying the stomach. Surgery: Basic Science and Clinical Evidence, by Jeffrey A. Norton/489Stomach has rich blood supply arising from celiac trunk and its branches in the form of right and left gastric, right and left gastroepiploic and short gastric arteries.'In the lesser omentum, locate the blood vessels which parallel the lesser curvature of the stomach. The largest vessel is found near the esophagus and is the left gastric artery. The left gastric artery arises from the celiac trunk and follows the dorsal body wall to reach the upper end of the lesser curvature of the stomach to enter the lesser omentum. - ww'w.slu. eduf.. JDissection%2025%20-%20 Stomach%20 and%20 Intestine'The arterial supply to the stomach comes predominantly from the coeliac axis although intramural anastomoses exist with vessels of other origins at the two ends of the stomach. The left gastric artery arises directly from the coeliac axis. 'Blood Supply of StomachStomach has rich blood supply arising from celiac trunk and its branches in the form of right and left gastric, right and left gastroepiploic and short gastric arteriesLeft gastric arteryQ: Branch of celiac trunk (Largest)Right gastric arteryQ: Branch of hepatic artery Right gastroepiploic artery0: Branch of gastroduodenal artery Left gastroepiploic artery 0: Branch of splenic artery Short gastricArteriesQ: Branch of splenic artery